Sulphur containing amino acid is
1. Cysteine
2. Lysine
3. Arginine
4. Phenylalanine

Correct answer: 1. Cysteine

Explanation: (A) Cysteine # Sulfur-containing amino acids (cysteine & methionine) are generally considered to be nonpolar and hydrophobic.> In fact, methionine is one of the most hydrophobic amino acids and is almost always found on the interior of proteins.> Cysteine on the other hand does ionize to yield the thiolate anion.